True about Anopheles mosquito
1. Breeds on actifictally collected water
2. Lawar doesn't have siphon tube
3. Also knows as tiger mosquito
4. Also know as nuisance mosquito

Correct answer: 2. Lawar doesn't have siphon tube